Which of the following is having the minimal chance of causing a mesothelioma
1. Ampholite
2. Crysolite
3. Amesolite
4. Tremolite

Correct answer: 2. Crysolite

Explanation: The serpentine chrysolite form accounts for 90 percnt of asbestos used in industry. Amphiblors evng though less prevalent are more pathogenic than crysolites with respect to induction of mesothelioma Refer robbins 722